Fluorides facilitates the precipitation into tooth structure of fluorapatite from calcium and phosphate ions present in saliva, replacing the following
1. Soluble salts containing manganese only
2. Soluble salts containing manganese and carbonate
3. Soluble salts containing carbonate only
4. Soluble salts of sodium

Correct answer: 2. Soluble salts containing manganese and carbonate